Endocrinal causes of Carpal Tunnel syndrome include all of the following, except:
1. Acromegaly
2. Hypothyroidism
3. Diabetes Mellitus
4. Addison's disease

Correct answer: 4. Addison's disease

Explanation: Endocrine causes of carpal tunnel syndrome includes diabetes mellitus, myxedema, hyperparathyroidism and acromegaly. Addison's disease is not associated with carpal tunnel syndrome. Other causes includes: compression of structures in the carpal tunnel by synovitis of the tendon sheaths or carpal joints, recent or mal healed fractures, tumors, tissue infiltration, occasionally by congenital syndromes (e.g, mucopolysaccharidoses), fluid retention of pregnancy, in individuals with a history of repetitive use of the hands, or following injuries of the wrists, rheumatoid arthritis, amyloidosis, sarcoidosis and leukemia. Ref: Harrison's Internal Medicine, 18th Edition, Chapter 384; Current Medical Diagnosis and Treatment, 2012, Chapter 41